A infant had high grade fever and respiratory distress at the time of presentation to the emergency room. The sample collected for blood culture was subsequently positive showing growth of a haemolytic colonies. On Gram staining these were gram positive cocci. In the screening test for identification, the suspected pathogen is likely to be susceptible to the following agent -
1. Bacitracin
2. Novobiocin
3. Optochin
4. Oxacillin

Correct answer: 3. Optochin